Not true about retinoblastoma -
1. Bilateral in 20-30%
2. Affects age group 1-5 years
3. More common in males
4. Leukocoria is earliest symptom

Correct answer: 3. More common in males

Explanation: Ans. is 'c' More common in males o Retinoblastoma is the most common intraocular tumor in children. The tumor is confined to infancy and very young children (1-2 years). There is no sex predisposition. Retinoblastoma is unilateral in 70-75% of cases and bilateral in 25-30% of cases.o Gaze Fixation starts developing in the first month and is completed in 6 months,o Macula is fully developed by 4 - 6 months.o Fusional reflexes, stereopsis and accommodation is well developed by 4 - 6 months,o Cornea attains normal adult diameter by 2 years of age.o Lens grows throughout life.